Which positive test does not necessarily indicate HIV infection in a newborn ?
1. ELISA for HIV IgG antibody
2. p24 antigen
3. Virus culture
4. ELISA for HIV IgA antibody

Correct answer: 1. ELISA for HIV IgG antibody